The artery to the ductus dererens is a branch of
1. Inferior epigastric artery
2. Superior epigastric artery
3. Superior vesical artery
4. Cremasteric artery

Correct answer: 3. Superior vesical artery

Explanation: The vas deferens is supplied by an accompanying artery (artery of vas deferens). This artery normally arises from the superior (sometimes inferior) vesical artery, a branch of the internal iliac artery. Ref - researchgate.net